The structure that integrates impulses for eye-hand coordination is:
1. Superior colliculus
2. Frontal eye field
3. Pretectal nucleus
4. Area 17

Correct answer: 1. Superior colliculus

Explanation: Superior colliculus integrates impulses for eye-hand coordination to control rapid directional movements of the two eyes. VISUAL PATHWAY Other important areas of the brain involved in visual pathway: Suprachiasmatic nucleus of the hypothalamus, to control circadian rhythms; Pretectal nuclei in the midbrain, to elicit reflex movements of the eyes to focus on objects of importance and to activate the pupillary light reflex; Superior colliculus, to control rapid directional movements of the two eyes; and Ventral lateral geniculate nucleus of the thalamus and surrounding basal regions of the brain, to help control some of the body's behavioral functions.